Gases for Pneumoperitoneum
1. CO2
2. N2
3. O2
4. Room air

Correct answer: 1. CO2

Explanation: CO2 is commonly used to create pneumoperitoneum as it is readily available, is cheaper, suppresses the combustion, is easily absorbed by tissues, has a high diffusion coefficient and is quickly released respiration. Other gases used are: Air, nitrous oxide, helium, argon. Reference : page 1183 SRB's manual of surgery 5th edition